Which one of the following is not an adverse effect of ACE inhibitors
1. Cough
2. Hypokalemia
3. Angioneurotic edema
4. Skin rash

Correct answer: 2. Hypokalemia

Explanation: Ans. is 'b' i.e. HypokalemiaRef.: K.D. T 4th/e page 204 (5th/e page 449, 450)ACE inhibitors cause increase in plasma potassium level. It is an important risk in the following patientsPatients with impaired renal functionThose taking K+ sparing diuretics, NSAIDS or b blockersOther commonly asked adverse effects of ACE inhibitors-Hypotension - an initial sharp fall in B.P. occurs specially in diuretic treated CHF patients.CoughPersistent brassy cough within 1-8 weeks subsides after discontinuation of drug for 4-6 days Caused by inhibition of bradykinin/substance P breakdown*Rashes, urticariaAngioedema*Dysgeusia - Loss or alteration of taste sensationFetal damageGranulocytopenia and proteinuriaAcute renal failure - It is precipitated in patients with B/L renal artery stenosis and ACE inhibitors are contraindicated in such patients